Which of the following is an example of an enzootic?
1. Leprosy
2. Typhoid
3. Cholera
4. Anthrax

Correct answer: 4. Anthrax

Explanation: ENZOOTIC: It is an endemic occurring in animals. Examples include anthrax, rabies, brucellosis, bovine tuberculosis, endemic typhus. Ref: Park 21st edition, page 89.